Extra energy requirement during first three months of lactation (in Kcal/d) -
1. 350
2. 600
3. 520
4. 450

Correct answer: 2. 600

Explanation: During the first three months of lactation, extra energy requirement is 600Kcal/day.(REF. PARK'S TEXTBOOK OF PREVENTIVE AND SOCIAL MEDICAL 21ST EDITION. PAGE NO - 585)